Incidence of C shaped canal is maximum for
1. Mandibular 1st molar
2. Mandibular 2nd molar
3. Maxillary 1st premolar
4. Maxillary 1st molar

Correct answer: 2. Mandibular 2nd molar